Horizontal line can be drawn by a child at the earliest by the age of:
1. 1 yr
2. 2 yrs
3. 3 yrs
4. 4 yrs

Correct answer: 2. 2 yrs

Explanation: Ans. b (2 years)Screening Scheme For Developmental Delay (Upper Range)Age (mths)Gross motorFine motorSocial skillsLanguage3Supports weight on forearmOpens hands spontaneouslySmiles appropriatelyCoos, laughs6Sits momentarilyTransferShows likes & dislikesBabbles9Pulls to standPincer graspPlays Pat-a-cake, Peek a-booImitates sound-12Walks with one hand heldReleases an object on commandComes when called1-2 meaningful words18Walks upstairs with assistanceFeeds from spoonMimics others actionAtleast 6 words24RunsBuilds a tower of 6 blocks.Draws a straight linePlays with others2-3 word sentences36Stands momentarily on footPlays with othersKnows full name.Understands speechOnly babbles48Hop, walk on straight lineCopy circleDiff. short from long lineProposition